Mutation in PKHD1 gene causing autosomal recessive polycystic kidney disease (ARPKD) maps to which chromosome?
1. 16
2. 4
3. 6
4. 12

Correct answer: 3. 6

Explanation: Mutations of the PKHD1 gene, which maps to chromosome region 6p21-p23. Expressed in adult and fetal kidney, also in liver and pancreas. PKHD1 gene encodes fibrocystin.